All of the following predispose to chloroquine toxicity except?
1. Duration of use > 2 years
2. Cumulative does > 460 gin
3. Daily dose > 250 mg/d or > 3 mg/kg
4. Renal failure

Correct answer: 1. Duration of use > 2 years

Explanation: Ans is 'a' i.e. Duration of use > 2 years Risk Factors of Chloroquine toxicity Duration of Disease > 5 years Daily dose Hydroxychloroquine: > 400 mg/day (> 6.5 mg/kg) Chloroquine: > 250 mg/day (> 3.0 mg/kg) Cumulative dose Hydroxychloroquine: > 1000 gm Chloroquine: > 460 gm Age Elderly (>60 years) Physique Short stature, obese Systemic disease Liver or kidney dysfunction Ocular disease Retinal disease or Maculopathy.